Inability of material to withstand plastic strain or deform plastically before fracture is known as:
1. Hardness
2. Fracture toughness
3. Brittleness
4. Pseudoplasticity

Correct answer: 3. Brittleness